A person has restricted eye movements in all directions, ptosis but no squint or diplopia. What is diagnosis:
1. CPEO
2. Multiple cranial nerve palsy
3. Myasthenia gravis
4. Orbital apex syndrome

Correct answer: 1. CPEO

Explanation: A i.e. CPEO